Which is the most common opportunistic retinal infection associated with HIV
1. CMV retinitis
2. VZV
3. Syphilictic retinitis
4. Herpes simplex

Correct answer: 1. CMV retinitis

Explanation: Cytomegalovirus (CMV) retinitis is a sight-threatening disease associated with AIDS (acquired immune deficiency syndrome) -- a serious disease of the immune system caused by infection with HIV (human immunodeficiency virus). In the past, about a quarter of active AIDS patients developed CMV retinitis. Ref ananthnarayana and panikers microbiology textbook 8/e